True about genetic code:
1. AUA codes for methionine in mitochondria
2. UGA codes for selenocysteine
3. AUG codes for initiator codon in mammalian cell and AGA & AGG act as chain terminator in mammalian mitochondria both
4. All

Correct answer: 4. All

Explanation: All